Ursodeoxycholic acid is a
1. Urinary Stone dissolving drug
2. Thrombolytic drug
3. Gallstone dissolving drug
4. Antifibrinolytic

Correct answer: 3. Gallstone dissolving drug

Explanation: Medical therapy of Gallstones Medical therapy of gallstones utilize bile acids : Chenodeoxycholic acid(CDCA) and Ursodeoxycholic acid(UDCA) Mechanism of Action : They inhibit HMG-CoA reductase, rate limiting enzyme for cholesterol synthesis, thus decreasing cholesterol saturation of bile They cause disruption of cholesterol from the stones by physicochemical means Ref: Sabiston 20th edition Pgno : 1494